Common fungus causing corneal ulcer -a) Aspergillusb) Mucorc) Fusariumd) Sprothrix
1. a
2. bc
3. ad
4. ac

Correct answer: 4. ac